"Multibacillarv" is a spectrum of disease, seen in-
1. Leprosy
2. TB
3. Tetanus
4. Trachoma

Correct answer: 1. Leprosy

Explanation: Ans. is 'a' i.e.. Leprosy ClassificationsRidley and JoplingIndianMadrido Tuberculoid (TT)o Indeterminate (I)o Indeterminateo Borderline tuberculoid (BT)o Tuberculoido Tuberculoid flat raisedo Borderline (BB)o Borderlineo Borderlineo Borderline lepromatous (BL)o Lepromatouso Lepromatouso Lepromatous (L.L)o Pure neuritic WHO classificationPauci bacillaryMultibacillaryo Bacteriological index <2o BI > 2o 5 or less skin lesionso 6 or more skin lesionso It includeso It includesB.T.B.B.T.T.B L.IndeterminateLL